Who coined the term orthopaedics:
1. Louis Pasteur
2. Edward jenner
3. Nicholas andry
4. Kuntscher

Correct answer: 3. Nicholas andry

Explanation: Ans. C: Nicholas Andry Nicholas Andry holds an important place in the history of orthopaedics and medicine as it was Andry who first used the word "orthopaedics" in a book published in 1741. Within the text he illustrated the "crooked tree" which has become the symbol for many orthopaedic organizations around the world.